Massive transfusion in previous healthy adult male can cause hemorrhage due to -
1. Increased tPA
2. Dilutional thrombocytopenia
3. Vitamin K deficiency
4. Decreased Fibrinogen

Correct answer: 2. Dilutional thrombocytopenia